Insulin secretion is inhibited by
1. Secretin
2. Epinephrine
3. Growth hormone
4. Gastrin

Correct answer: 2. Epinephrine

Explanation: Epinephrine (also known as adrenaline or adrenaline) is a hormone and a neurotransmitter. Epinephrine has many functions in the body, regulating heart rate, blood vessel and air passage diameters, and metabolic shifts; epinephrine release is a crucial component of the fight-or-flight response of the sympathetic nervous system.Ref: Ganong's review of medical physiology; 24th edition